IQ = 35-47; classified according to WHO is
1. Mild intellectual disability
2. Moderate intellectual disability
3. Severe intellectual disability
4. Profound intellectual disability

Correct answer: 2. Moderate intellectual disability

Explanation: (Moderate intellectual disability) (502- Park 2(fh)WHO gave the following classification of intellectual disabilityMild intellectual disabilityIQ = 50-70Moderate intellectual disabilityIQ = 35-49Severe intellectual disabilityIQ = 20-34Profound intellectual disabilityIQ = Under 20.